Which of the following is primordial prevention for the non-communicable disease ?
1. Salt restriction in high NCD area
2. Smoking cessation in high NCD area
3. Preservation of traditional diet in low NCD area
4. Early diagnosis & Treatment

Correct answer: 3. Preservation of traditional diet in low NCD area

Explanation: Primordial prevention is the prevention of the emergence or development of risk factors in countries or population groups in which they have not yet appeared. In primordial prevention, efforts are directed towards discouraging the children from adopting harmful lifestyles. The main intervention is through individual and mass education. Ref: Park's Textbook of Preventive and Social Medicine; 24th edition - Page no. 45